The frequently occurring value in a distribution of data is:
1. Median
2. Mode
3. Standard deviation
4. Mean

Correct answer: 2. Mode

Explanation: Ans: B i.e. Mode The mode is the value that appears most often in a set of data.